A screening test was carried out among 120 people and 20 had the disease. 40 showed test positive out of which 15 had the disease. What is the specificity of the test?
1. 50%
2. 65%
3. 75%
4. 25%

Correct answer: 3. 75%